Paranoid psychosis observed with cocaine abuse can be explained by
1. Tolerance
2. Intoxication
3. Reverse tolerance
4. Withdrawal

Correct answer: 3. Reverse tolerance

Explanation: C i.e. Reverse tolerance